All of the following act through cell surface receptors except?
1. Cortisol
2. Insulin
3. FSH
4. TSH

Correct answer: 1. Cortisol

Explanation: Cortisol is a steroid hormone and acts on intercellular (cytoplasmic) receptor. A. Hormones that bind to intracellular receptors (lipophilic, readlily penetrate the cell membrane) Hormones that bind to cytoplasmic receptors Androgens Estrogen, Progesterone Glucocorticoids, Mineralocorticoids Hormones that bind to nuclear receptors Thyroid hormones (T3, T4) Estrogen , Progesterone Retinoic acid Calcitriol (Vitamin D3) B. Hormones that bind to cell surface receptors (hydrophilic) The second messenger is cAMP (Gs) for : Parathyroid Hormone (PTH) CRH, ACTH, Catecholamines (b1 & b2 receptors) Parathyroid hormone (PTH), TSH, Calcitonin FSH, LH, HCG MSH ADH (V2 receptors) Glucagon Somatostatin Secretin Act by decreasing second messenger cAMP (Gi): Alpha2 adrenoreceptors ACh (M2, M4) Somatostatin The second messenger is cGMP for : Atrial natriuretic factor (ANF) Nitric oxide(NO) The second messenger is IP3-DAG (Phospholipase C) (Gq) for: Acetyl choline (Muscarinic) Angiotensin II ADH (V1 receptor) Catecholamines a1 receptor Cholecystokinin Gastrin GnRH, GHRH, TRH Oxytoxin Substance P The second messengger is kinase or phophatase cascade for : Growth hormone Erythropoetin Prolactin Platelet derived growth factor (PDGF) Insulin IGF-1 Adiponectin Epidermal growth factor Fibroblast growth factor Nerve growth factor VEGF Ref:Guyton and Hall 13th edition Pgno: 930-936